Vector for T.cruzi is -
1. Reduvid bug
2. Tsetse fly
3. Sand fly
4. Hard tick

Correct answer: 1. Reduvid bug

Explanation: T.cruzi passes its life cycle I two host Definitive host- humans Intermediate host-triatomine bugs Humans become infectious when reduviid bug bites and the infected faecal matter is discharged near bite wound (refer pgno:49 baveja 3 rd edition)